All of the following are used in the treatment of Thrombotic Thrombocytopenic Purpura, Except.
1. Plasmapharesis
2. Corticosteroids
3. Immunotherapy
4. Heparin

Correct answer: 4. Heparin

Explanation: Answer is D (Hepari) Heparin and platelet transfusions are not used in the treatment of Thrombotic Thrombocytopenic Purpura Heparin and platelet transfusions are not used in treatment of TTP 'Heparin is not indicated in the treatment of TTP-HUS. Platelet transfusion is also not indicated and may worsen neurological symptoms and renal dysfunction. Platelet transfusion can lead to the geeration of new or expanding thrombi, as the infused platelets are transfused' - Cleveland Clinic. Internal Medicine Case Reviews (2003)/153 Plasmapharesis, Corticosteroids and Immunotheram may he used in treatment of TTP Plasmapharesis forms the mainstay of treatment for TTP. Corticosteroids and lmmunotherapy may be used as adjuncts to plasma exchange in refractory /relapsed cases.